The 27-year-old male triathlon competitor complained that he frequently experienced deep pains in one calf that almost caused him to drop out of a regional track-and-field event. Doppler ultrasound studies indicated, and surgical exposure confirmed, the existence of an accessory portion of the medial head of the gastrocnemius that was constricting the popliteal artery. Above the medial head of the gastrocnemius, the superior medial border of the popliteal fossa could be seen. Which of the following structures forms this border?
1. Tendon of biceps femoris
2. Tendons of semitendinosus and semimembranosus
3. Tendon of plantaris
4. Tendinous hiatus of adductor magnus

Correct answer: 2. Tendons of semitendinosus and semimembranosus

Explanation: The tendons of the semitendinosus and semimembranosus provide the superior medial border of the popliteal fossa. The semitendinosus inserts with the pes anserinus on the proximal, medial tibia. The semimembranosus inserts on the tibia posteriorly. The biceps femoris forms the superior lateral border of the fossa, as the tendon passes to insertion on the fibula. The plantaris arises from the femur just above the lateral head of the gastrocnemius, passing distally to insert on the calcaneus via the tendo Achilles. The popliteus arises from the tibia and passes superiorly and laterally to insert on the lateral condyle of the femur, with a connection to the lateral meniscus.